PID can be due to:
1. IUCD insertion
2. Oral contraceptive
3. Condom
4. Hypertension

Correct answer: 1. IUCD insertion

Explanation: Ans. (a) IUCD insertionRef William's Gyenecology ch 3* IUCD acts by causing local inflammation at endometrial site. It increases the risk of PID in female.* Oral contraceptives decreases the risk of PID.Pelvic Inflammatory Disease Risk FactorsDouchingSingle statusSubstance abuseMultiple sexual partnersLower socioeconomic statusRecent new sexual partner (s)Younger age (10 to 19 years)Other sexually transmitted infectionsSexual partner with urethritis or gonorrheaPrevious diagnosis of pelvic inflammatory diseaseNot using mechanical and/or chemical contraceptive barriersEndocervical testing positive for N. Gonorrhoeae or C.Trachomatis